Complex I of ETC is inhibited by -
1. Amobarbital
2. Cyanide
3. 0
4. H2S

Correct answer: 1. Amobarbital

Explanation: Ans. is 'a' i.e., Amobarbital Inhibitors of Electron transport chain (Respiratory chain)o Complex I:- Barbiturates (amobarbital), piercidin A, rotenone, chlorpromazine, guanithidine.o Complex II:- Carboxin, TTFA, malonate.o Complex III :- Dimercaprol, BAL, actinomycin A, Naphthyloquinone.o Complex IV :-(cytochrome c oxidase) Carbon monoxide (CO), cyanide (CN-), H2S, azide (N3 )